The ratio between the achievement of program activity and the desired level which, the planners had proposed would result from the program is called
1. Effectiveness
2. Efficiency
3. Appropriateness
4. Adequacy

Correct answer: 1. Effectiveness